Triad of Meniere’s disease includes all except?
1. Vertigo
2. Hearing loss
3. Tinnitus
4. Migraine

Correct answer: 4. Migraine

Explanation: Meniere’s disease is a disorder of the inner ear which is characterized by

i) Episodes of vertigo
ii) Tinnitus (ringing in the ears)
iii) Fluctuating sensorineural hearing loss
iv) Feeling of fullness or pressure in the ear (aural fullness)

A typical attack of Meniere’s disease is preceded by fullness in one ear. Hearing fluctuation or changes in tinnitus may also precede an attack.